GAS (General Adaptation Syndrome) is seen in:
1. Panic attacks
2. Depression
3. Anxiety
4. Stressful situations

Correct answer: 4. Stressful situations

Explanation: D i.e. Stressful situations